James Lind is related to discovery of
1. Prevention of scurvy
2. Pathogenesis of scurvy
3. Cause of scurvy
4. All of the above

Correct answer: 1. Prevention of scurvy

Explanation: Ref:Park's Textbook of Preventive and Social Medicine 25th Ed